Omphalocele is caused by
1. Duplication of Intestinal loops
2. Reversed rotation of intestinal loop
3. Abnormal rotation of the intestinal loop
4. Failure of GUT to return to the body cavity from its physiological herniation

Correct answer: 4. Failure of GUT to return to the body cavity from its physiological herniation

Explanation: There are two abdominal wall defects due to failure of development of abdominal musculature:- Ref:- Sabiston 20th edition; Pg num:- 1071